Which of the following statements is not true regarding * a-fetoprotein :
1. High levels are seen in fibrolamellar hepatic carcinoma
2. Pre-operative high level indicates worse prognosis
3. High level are seen in stomach carcinoma
4. Levels may be increased in hepatitis

Correct answer: 1. High levels are seen in fibrolamellar hepatic carcinoma

Explanation: Answer is A (High levels are seen in fibrolamellar hepatic carcinoma) Fibrolamellar variant has no AFP elevation. Fibrolamellar carcinoma is rare variant of hepatocellular carcinoma that occurs mainly in young adults and characteristically has no AFP elevation - Chandrasoma Taylor 3rd/660 Alpha fetoprotein may be slightly elevated in some cases of hepatitis and cirrhosis - Chandrasoma Taylor Alpha feto protein may be found as a result of large metastasis from gastric (stomach) carcinoma or colonic carcinomas - Harrisons A rising level suggests progression of tumor or recurrence after hepatic resection or therapeutic approach such as ablation or chemoembolization.- Harrison